Which of the following liver enzymes is predominantly mitochondrial
1. SGOT (AST)
2. SGPT (ALT)
3. GGT
4. 5' Nucleotidase

Correct answer: 1. SGOT (AST)

Explanation: Liver enzymes location 

Ectoenzymes (Plasma membrane-bound) :- 5' nucleotidase (also called nucleotide phosphatase, NTP), Gamma-glutamyl transferase (gamma-glutamyl transpeptidase : GGT), alkaline phosphatase (ALP).
Mitochondrial:- Glutamate dehydrogenase (GDH), Aspartate aminotransferase (AST) or SGOT mitochondrial isoenzyme.
Cytosolic:- Lactate dehydrogenase (LDH), Alanine transaminase (ALT) or SGPT, SGOT (AST) cytosolic isoenzyme.

Note:- In liver, the predominant isoenzyme of SGOT (AST) is mitochondrial.